The major advantage of alternate day prednisone therapy for conditions such as asthma –
1. There is less adrenal suppression
2. More effective
3. More convenient
4. Less expensive

Correct answer: 1. There is less adrenal suppression

Explanation: Measures that minimize hypothalamic - pituitary - adrenal axis suppression -

Use shorter acting steroids              
Use lowest possible dose                    
Use for shortest period
Give entire daily dose at a time  
Switch to alternate - day therapy